Which of the following is mixed dental analysis?
1. Huckaba’s analysis
2. Bolton’s analysis
3. Pont’s index
4. Korkhaus analysis

Correct answer: 1. Huckaba’s analysis